Vit B1 is a cofactor for
1. Transketolase
2. Transaldolase
3. Aldolase A
4. Aldolase B

Correct answer: 1. Transketolase

Explanation: Vit B1 is a cofactor for Transketolase. Transketolase: The second group of enzymes that use TPP as co-enzyme are the transketolases, in the hexose monophosphate shunt pathway of glucose the main role is in carbohydrate metabolism Ref: DM Vasudevan - Textbook of Biochemistry, 8th edition, page no: 467